Nitrates can be used for all of the following conditions except
1. Congestive heart failure
2. Cyanide poisoning
3. Esophageal spasm
4. Renal colic

Correct answer: 4. Renal colic

Explanation: nitrates are used in CHF Angina pectoris Myocardial infarction Biliary colic Diffuse esophageal spam Cyanide poisoning Refer kDT 6/e p 527